All of the following are antiarrhythmic drugs except
1. Lidocaine
2. Enalapril
3. Atenolol
4. Sotalol

Correct answer: 2. Enalapril

Explanation: Refer kDT 7/e p 529 Antiarrhythmic drugs amiodarone (Cordarone, Pacerone) flecainide (Tambocor) ibutilide (Corve), which can only be given through IV. lidocaine (Xylocaine), which can only be given through IV. procainamide (Procan, Procanbid) propafenone (Rythmol) quinidine (many brand names) tocainide (Tonocarid)